All are physical methods of sterilisation except
1. Sunlight
2. Gases
3. Filtration
4. Heat

Correct answer: 2. Gases

Explanation: Physical Methods of SterilizationHeatRadiationFiltration Chemical Methods of Sterilization: using toxic gasses Ex: ETO, Formalin gas Ref : Ananthanarayana textbook of Microbiology 9th edition Pgno : 33